In total flea index true is -
1. Average all Xenopsella cheopis per rat
2. Average number of all fleas of all species per rat
3. Average number of all fleas in a burrow
4. Average number of all fleas in all species of rats to per burrow

Correct answer: 2. Average number of all fleas of all species per rat

Explanation: Total flea index: it is the average number of flea of all species per rat. Reference:Park's textbook of preventive and social medicine,K.Park,23rd edition,page no:294